Which of the following is not observed in cri-du-chat syndrome?
1. Hypertonia
2. Characteristic shrill cry
3. Microcephaly
4. Intellectual disability

Correct answer: 1. Hypertonia

Explanation: Hypotonia is seen in cri-du-chat syndrome, not hypertonia Cri-du-chat syndrome occurs due to deletion of chromosome 5p Main features: Hypotonia Characteristic shrill cry (cat-like cry) in the first few weeks of life) Microcephaly Hypertelorism Bilateral epicanthal folds High-arched palate Wide and flat nasal bridge Intellectual disability Ref: Nelson textbook of pediatrics 21st edition Pgno: 666